Amyloid present in cerebral lesions of Alzheimer's disease -
1. L
2. AA
3. Ab
4. b-microglobulin

Correct answer: 3. Ab

Explanation: Ans. c (Ab) (Ref. Harrison's medicine 17th ed., Table 324-1)Amyloid Fibril Proteins and their PrecursorsAmyloid ProteinPrecursorSystemic (S) or Localized (L)Syndrome or Involved TissuesALImmunoglobulin light chainS, LPrimaryMyeloma-associatedAHImmunoglobulin heavy chainS, LPrimaryMyeloma-associatedATTRTransthyretinSFamilialSenile systemic L?TenosynoviumA2M2-microglobulinSL?Hemodialysis, JointsAA(Apo)serum AASSecondary, reactiveAApoAIApolipoprotein AlSLFamilialAorticAApoAIIApolipoprotein AllSFamilialAGelGelsolinSFamilialAlysLysozymeSFamilialAFibFibrinogen -chainSFamilialACysCystatin CSFamilialABriABriPPL, S?Familial dementia, BritishADanADanPPLFamilial dementia, DanishAA protein precursor (APP)LAlzheimer's disease, agingAPrPPrion proteinLSpongiform encephalopathiesACal(Pro)calcitoninLC-cell thyroid tumorsAIAPPIslet amyloid polypeptideLIslets of LangerhansInsulinomasAANFAtrial natriuretic factorLCardiac atriaAProProlactinLAging pituitaryProlactinomasAlnsInsulinLIatrogenicAMedLactadherinLSenile aortic, mediaAkerKerato-epitheliumLCornea; familialA(tbn)tbnbLPindborg tumorsALacLactoferrinLCornea; familial